18 years old male developed meningitis 5 days after taking a bath in pond. The likely causative organism -
1. Meningococcus
2. Cryptococcus
3. Naegleria fowleri
4. Enterococcus

Correct answer: 3. Naegleria fowleri

Explanation: Ans. is 'c' i.e., Naegleria fowleri * Primary amebic meningoencephalitis (PAM) is an acute, fulminant, and rapidly fatal infection involving the central nervous system. It is caused by the parasite Naegleria fowleri, a free- living ameboflagellate found in soil and fresh or brackish water (lakes rivers, ponds).